Most common phobia
1. Specific phobia
2. Social phobia
3. Agarophobia
4. Claustrophobia

Correct answer: 1. Specific phobia

Explanation: Phobia is clinical condition where there is a fear of any stimulus because of which there is anxiety and distress and to avoid the distress there is avoidance and finally results in dysfunction MOST HERITABLE TYPE OF PHOBIA IS BLOOD INJECTION TYPE OF PHOBIA MOST COMMON TYPE OF PHOBIA IS SPECIFIC PHOBIA ONLY TYPE OF PHOBIA WHERE THERE IS HYPOTENSION AND FALLS IS BLOOD INJECTION TYPE OF PHOBIA Reference: Kaplon and sadock, 11 th edition, synopsis of psychiatry, 11 th edition, pg no. 400